Palivizumab is used for the prophylaxis of :
1. Human metapneumovirus
2. para influenza virus type 2 & type 4
3. Influenza virus
4. Respiratory syncytial virus

Correct answer: 4. Respiratory syncytial virus

Explanation: Palivizumab is a monoclonal antibody used for the prevention of Respiratory syncytial virus